A 10 month old infants present with acute intestinal obstruction. Contrast enema X-ray shows the intussusceptions. Which of the following is the most likely cause?
1. Payers patch hypertrophy
2. Mekel's diverticulum
3. Mucosal polyp
4. Duplication cyst

Correct answer: 1. Payers patch hypertrophy

Explanation: Most common cause of intussusception in an infant is hypertrophy of Peyer's patches in the terminal ileum from an antecedent viral infection that acts as a lead point. Peristaltic action of the intestine then causes the bowel distal to the lead point to invaginate into itself. Idiopathic intussusception occurs in children between approximately 6 and 24 months of age. Beyond this age group, cause of intussusception includes polyps, malignant tumors such as lymphoma, enteric duplication cysts, and Meckel's diverticulum. Ref: Schwartz's Principles of Surgery, 9th Edition, Chapters 28, 39